drugs with high plasma protein binding are
1. short duration of action
2. less drug interactions
3. lower volumes of distribution
4. all the above

Correct answer: 3. lower volumes of distribution

Explanation: plasma protein binding causes restriction of drugs in the vascular compartment and thus lower volume of distribution